The leukotriene receptor antagonist used in bronchial asthma is -
1. Zafirleukast
2. Zileuton
3. Ketotifen
4. Nedocromil

Correct answer: 1. Zafirleukast

Explanation: Ans. is 'a' i.e., Zafirleukast